Which is true regarding hydatid cyst of lung -
1. Never ruptures
2. Calcification is common
3. Always associated with cyst in the liver
4. More common in lower lobes.

Correct answer: 4. More common in lower lobes.

Explanation: Lung in the IInd MC site for hydrated cyst (Liver is the 1st)
Only 10% of pulmonary cyst are associated with hepatic cyst.
About 20% of pulmonary cysts are bilateral.
Usually seen in the lower lobes of lung.
Calcification in rare (Note that the calcification is very common in hydatid cyst of liver).
It may rupture into the bronchial tree or the peritoneal cavity.